Not true of bulimia nervosa:
1. Amenorrhoea
2. Binge eating
3. Purgation and vomiting
4. Normal body contour maintained

Correct answer: 1. Amenorrhoea

Explanation: Ans: a (Amenorrhoea) Ref: Ahuja, 6th ed, 157; Kaplan & Sadock, 8th ed, p. 2012Amenorrhoea is not a feature of bulimia nervosa; it is seen in anorexia nervosaFluoxetine is an anti-depressant that has been approved for use in bulimia nervosaCharacteristics of anorexia nervosa and Bulimia nervosaClinical CharacteristicsAnorexiaNervosa"Bulimia NervosaOnsetM id-adolescenceLate adolescence/early adulthoodFemalermale10:110:1Lifetime prevalence in women1%1-3%W eightM arkedly decreasedUsually normalMenstruationAbsentUsually normalBinge eating25-50%Required for diagnosisM ortality5% per decadeLowPhysical and Laboratory Findings" Skin/extremitiesLanugo Acrocyanosis Edema CardiovascularBradycardia Hypotension GastrointestinalSalivary gland enlargementSalivary gland enlargement Slow gastric emptyingDental erosion Constipation Elevated liver enzymes HematopoieticNormochromic, normocyctic anemia Leukopenia Fluid/ElectrolyteIncreased BUN, creatinineHypokalemia HypokalemiaHypochloremia AlkalosisEndocrineHypoglycemia EndocrineHypoglycemia Low estrogen or testosterone Low LH and FSH Low-normal thyroxine Normal TSH Increased cortisolBoneOsteopenia